Double line sign on MRI is seen in:
1. AVN of hip
2. SCFE
3. TB hip
4. DDH

Correct answer: 1. AVN of hip

Explanation: AVN of HIP Clinically sectorial sign X rays - crescent sign MRI - double line sign Treatment - core decompression/osteotomies/vascularized bone graft/replacement